The incidence of stump carcinoma is :
1. 6%
2. 10%
3. 16%
4. None

Correct answer: 4. None

Explanation: Ans. is None Stump carcinoma It is the carcinoma which develops in the cervical stump left behind after subtotal hysterectomy. The incidence may be asrugh as 1%. In true stump carcinoma malignancy develops 2 years after primary surgery. The tumour behaves like carcinoma cervix. It is difficult to stage the disease. There is difficulty in treatment because of dense adhesion which make surgery difficult. Radiation therapy is also technically difficult. External beam radiation therapy is given. Prognosis is unfavourable. 5 years survival rate 30 - 60%.